The development of the first permanent molar is initiated at:
1. Fourth month in utero.
2. 14th month in utero.
3. Second month in utero.
4. First year after birth.

Correct answer: 1. Fourth month in utero.

Explanation: The development of the first permanent molar is initiated at the fourth month in utero.
The second molar is initiated at about the first year after birth, the third molar at the fourth or fifth years.